Commonest cause of secondaryamenorrhea is :
1. TB
2. Pregnancy
3. Post pill amenorrhea
4. Anaemia

Correct answer: 2. Pregnancy

Explanation: Pregnancy